Tetanus prophylaxis for a contaminated wound in a partially immune person is
1. Toxoid x 1, antibiotics
2. Toxoid x 2 , TIG
3. Toxoid x 3 , TIG, antibiotics
4. Toxoid x 1, TIG, antibiotics

Correct answer: 4. Toxoid x 1, TIG, antibiotics

Explanation: Tetanus Immunization: For clean, minor wounds: Give patient Tetanus Diphtheria Toxoid? Give patient Tetanus Immune Globulin? Unknown or less than 3 doses of absorbed Tetanus Toxoid Yes No Greater than 3 doses of absorbed Tetanus Toxoid No (unless >10 years since last booster) No For all other wounds: Give patient Tetanus Diphtheria Toxoid? Give patient Tetanus Immune Globulin? Unknown or less than 3 doses of absorbed Tetanus Toxoid Yes Yes Greater than 3 doses of absorbed Tetanus Toxoid No (unless >5 years since the last booster) No Ref : Ananthanarayana textbook of Microbiology 9th edition Pgno : 263